Which organ is involved in Good-pasture syndrome?
1. Liver
2. Adrenals
3. Kidney
4. Brain

Correct answer: 3. Kidney

Explanation: Ref: Robbins E-Book, P 519Good pasture disease is a term used to describe glomerulonephritis, with or without pulmonary hemorrhage, and the presence of circulating anti-glomerular basement membrane (anti-GBM) antibodies